Sildenafil should not be used in
1. Diabetics
2. Patients on vasodilator therapy
3. Pulmonary hypertension
4. Erectile dysfunction

Correct answer: 2. Patients on vasodilator therapy

Explanation: Sildenafil inhibits PDE-5 and prevents Nitric oxide (NO) degradation. Increased NO results in vasodilation. It should not be used in patients taking vosodilators as it can lead to sudden hypotension.